Drugs causing macular toxicity when given intiavitreally-
1. Gentamycin
2. Vancomycin
3. Dexamethasone
4. Ceftazidime

Correct answer: 1. Gentamycin

Explanation: Ref:comprehensive ophthalmology AK Khurana 4th edition page no :152 Gentamycin is 4 times more retinotoxic (causes macular infarction) than amikacin. Preferably the aminoglycosides should be avoided. 